Confocal scanning laser ophthalmoscope uses-
1. Infrared laser
2. Diode laser
3. Excimerlaser
4. YAG laser

Correct answer: 2. Diode laser

Explanation: Confocal scanning laser ophthalmoscope:- *It is an instrument using confocal laser system to provide and analyse three dimentional image of the optic nerve head, peripapillary retina and macular region. *It uses a 670nm diode laser and measures the amount of light reflected from a series of 16-64 sections in depth and reconstructs them to show the anotomy of the optic nerve head and reconstruct the anatomy of the retinal nerve fiber layer. Ref: Dictionary of optometry and visual science